In colour doppler the color depends upon:
1. Strength of returning echo
2. Relation of transducer to blood flow
3. Frequency of doppler used
4. Type of doppler machine used

Correct answer: 2. Relation of transducer to blood flow

Explanation: Ans. Relation of transducer to blood flow